True about hepatitis with HCV is:
1. Present with fulminant liver failure
2. Chronicity is not seen
3. Genotyping helps in treatment duration
4. Feco/oral transmission

Correct answer: 3. Genotyping helps in treatment duration

Explanation: Genotyping is helpful for predicting the likelihood of response and duration of treatment. Patients with genotypes 1 and 4 are generally treated for 12 months, whereas 6 months of treatment is sufficient for other genotypes. Genotyping can be performed by direct sequence analysis, reverse hybridization to genotype-specific oligonucleotide probes, or restriction fragment length polymorphisms(RFLPs).